True about congenital Rubella syndrome is:-
1. Blueberry muffin rash is seen
2. Virus can be isolated only upto 6months after birth
3. Triad of CRS are cataract, cardiac defects, cerebral palsy
4. Infection is most serious after five months of pregnancy

Correct answer: 1. Blueberry muffin rash is seen

Explanation: Virus can be isolated up to 12 months after birth. Tired of CRS is cardiac defects, cataract and sensory neural defects. Infection is not serious after 5 months of pregnancy Blueberry muffin rash is seen in congenital rubella syndrome.